Intermittent Positive Pressure Ventilation (IPPV) can cause:
1. Barotrauma
2. Pleural effusion
3. Pulmonary edema
4. None of the above

Correct answer: 1. Barotrauma

Explanation: Cardiovascular impairment and direct effect of pressure on lung tissue are some of the complications of positive intrathoracic pressure. Barotrauma manifests as subcutaneous emphysema, pneumothorax, or pneumomediastinum. Ref: Clinical Intensive Care and Acute Medicine, Ken Hillman, Gillian Bishop, Pages 377-378 ; Harrison's Principle of Internal Medicine, 16th Edition, Page1599